Drug inhibiting the enzyme folate synthatase is -
1. Sulfonamide
2. Clindamycin
3. Rifampicin
4. Norfloxacin

Correct answer: 1. Sulfonamide

Explanation: Ans. is 'a' i.e., Sulfonamide SULFONAMIDESo Sulfonamides are bacteriostatic and act by inhibiting folic acid synthesis by inhibiting enzyme folate synthatase.o Bacteria synthesize their own folic acid of which para aminobenzoic acid (PABA) is a constituent -Sulfonamides, being structural analogues of PABA, inhibit bacterial folate synthase competitively.o Sulfonamides are not effective in presence of pus and tissue extract because - (1) Pus contains purines and thymidine which decrease bacterial requirement for folic acid and (2) Pus is rich in PABA.Classsification1. Short acting - Sulfadiazine, Suffisoxaxole, Sulfamethizole, Sulfacystine.2. Intermediate acting - Sulfamethoxazole.3. Long acting - Suifadoxine, Sulfamethopyrazine.4. Topical Sulfonamides - Sulfacetamide sodium, Mafenide, silver sulfadiazine.5. Sulfonamide for RA and ulcerative colitis - Sulfasalazine.Adverse effectso Most common adverse effects are due to hypersensitivity -Drug fever, Skin rashes, exfoliative dermatitis, Photosensitivity', urticaria, nausea, vomiting and diarrhea - Katzung Wth/e p. 764.o Crystalluria, Hepatitis, hemolysis in G-6-PD deficiency, kemicterus in newborn are other side effects,o Primary path wary of metabolism of Sulfonamides is acetylation. The acetylated derivative is less soluble in acidic urine - may precipitate and cause crystalluria.